Maximum shortening of limbs occur in -
1. Trochantric # femur
2. Post dislocation of hip
3. # neck femur
4. Anterior dislocation of hip

Correct answer: 2. Post dislocation of hip

Explanation: Amongst the given options, maximum shortening occurs with posterior dislocation of hip.